All of the following organs develop in the mesentery of stomach except
1. Liver
2. Spleen
3. Kidney
4. Pancreas

Correct answer: 3. Kidney

Explanation: All the organs except kidney develop in the mesentry while kidney develop behind the mesentry( retroperitoneal). Kidney develops from metanephros, through pronephros and mesonephros appear to disappear. The nephrons of the kidney arise from the metanephros. Ref: Human anatomy,BD Chaursia, 7th edition. Liver develops from the caudal end of foregut, an endodermal hepatic bud arises during 3rd week of development. This bud grows into ventral mesogastrium and passes through it into the septum transversum. Spleen develops as a collection of mesenchymal cells in the dorsal mesogastrium. Pancreas develops from two endodermal buds, dorsal and ventral that arises from the part of the gut that later forms the second part of duodenum.